The probable source of relaxin is:
1. Ovary
2. Adrenal cortex
3. Liver
4. Bartholins gland

Correct answer: 1. Ovary

Explanation: • Relaxin is a peptide hormone. It is produced by the ovary to be specific by the corpus luteum of pregnancy If corpus
luteum is in options, it should be the answer of choice. It has also been identified in :
– placenta
– decidua
– chorion
• It is not detected in men and non pregnant women.
• Levels of Relaxin rise during 1st trimester when corpus luteum is dominant and declines in the second trimester. This
suggests a role in maintaining early pregnancy.
• In animals, relaxin softens the cervix, inhibits uterine contractions and relaxes public symphysis.
• It has no effect on prolactin secretion but enhances growth hormone secretion by the pituitary.